Main blood supply to the head and neck of femur comes from
1. Lateral circumflex femoral Artery
2. Medial circumflex femoral Artery
3. Artery of Ligamentum Teres
4. Popliteal Artery

Correct answer: 2. Medial circumflex femoral Artery

Explanation: Main blood supply to the head of the femur in adults is the lateral ascending cervical or retinacular & epiphyseal branches of the medial circumflex femoral artery. It also receives supply from lateral circumflex femoral artery & branch of obturator artery. Ref: BD Chaurasia, Volume 2 , 6Th edition, page no: 69